Which of the following component of the eye has highest refractive index?
1. Anterior surface of the lens
2. Posterior surface of the lens
3. Centre of the lens
4. Cornea

Correct answer: 3. Centre of the lens

Explanation: The refractive index of the lens cortex is 1.386 while that of the lens core is 1.406. Refractive index of each component of the eye as an optical system Refracting medium Refractive index Air 1.000 Cornea 1.373 Aqueous humour 1.336 Lens(cortex-core) 1.386 - 1.406 Vitreous humour 1.336 Ref: Parsons' Diseases of the Eye By Ramanjit Sihota & Radhika Tandon page 52. Theory And Practice Of Optics And Refraction By Khurana page 32.